A patient involved in a road traffic accident presents with quadriparesis, sphincter disturbance, sensory level up to the upper border of sternum and a respiratory rate of 35/minute. The likely level of lesion is -
1. C1 - C2
2. C4 - C5
3. T1 - T2
4. T3 - T4

Correct answer: 2. C4 - C5

Explanation: INJURY LEVEL C1-C-2 levels will often result in loss of breathing, necissitating mechanical ventilators or phrenic nerve pacing. C3- Typically results in loss of diaphragm function, ssitating the use of a ventilator for breathing. C4-Results in significant loss of function at the biceps and shoulders. C5-Results in potential loss of function at the shoulders and biceps, and complete loss of function at the wrists and hands. C6- Results in limited wrist control, and complete loss of function. and complete loss of hand function C7-T1 : Results in lack of dexterity in the hands and fingers but allows for limited use of arms. ref : maheswari 9th ed